Murphy's Sign is seen in?
1. Acute appendicitis
2. Acute cholecystitis
3. Acute Pancreatitis
4. Ectopic pregnancy

Correct answer: 2. Acute cholecystitis

Explanation: Ans. (b) Acute cholecystitisRef: Bailey and love 25th edition page 967 & 1140, Schwartz's 8th edition chapter 34, Sabiston Textbook of Surgery, 18thed chapter 55